Most common paraneoplastic syndrome associated with small cell lung cancer?
1. SIADH
2. Cushing
3. Hypercalcemia
4. Polycythemia

Correct answer: 1. SIADH

Explanation: Most common paraneoplastic syndrome associated with small cell lung cancer => SIADH > Cushing syndrome.